Proprioception is carried by which fibers-
1. Fasciculus cuneatus and fasciculus gracilis
2. Anterior spinothalamic tract
3. Lateral spinothalamic tract
4. Spinocerebellar tract

Correct answer: 1. Fasciculus cuneatus and fasciculus gracilis

Explanation: Ans. is 'a' i.e., Fasciculus cuneatus and fasciculus gracilis Posterior column (Dorsal column) (Fasciculus Gracilis and Fasciculus Cuneatus) carries* Proprioception (Position of body or limb, position of joint)* Vibration* Fine touch (two point discrimination, topognosis, stereognosis)* Kinesthesia